Transpulmonary pressure is -
1. Pleural pressure minus Alveolar pressure
2. Alveolar pressure minus pleural pressure
3. Pleural pressure plus Alveolar pressure
4. None of the aove

Correct answer: 2. Alveolar pressure minus pleural pressure

Explanation: Ans. is 'b' i.e., Alveolar pressure minus pleural pressure Transpulmonarv pressure (Transmural pressure across lungs)o The difference between the alveolar pressure (intraalveolar pressure) and the pleural pressure (intrapleural pressure). This is the difference between the pressure inside and immediately outside the lung and is therefore called the transpulmonary pressure. It is a measure of the elastic forces in the lungs that tend to collapse the lungs at each instant of respiration, called elastic recoil pressure.